When in labor, a diagnosis of occipito posterior presentation is made. The most appropriate management would be:
1. Emergency CS
2. Wait and watch for progress of labor
3. Early rupture of membranes
4. Start oxytoicn drip

Correct answer: 2. Wait and watch for progress of labor